All of the following can be seen in patients with accelerated hypertension which can lead to visual loss, EXCEPT:
1. Vitreous haemorrhage
2. Glaucoma
3. Cotton wool spots
4. Retinal detachment

Correct answer: 2. Glaucoma

Explanation: In young patients with accelerated malignant hypertension, an extensive retinopathy is seen, with hemorrhages, retinal infarcts (cotton-wool spots), choroidal infarcts, and occasionally serous detachment of the retina. Severe disk edema is a prominent feature and may be accompanied by a macular star of hard exudates. Vision may be impaired and may deteriorate further if blood pressure is reduced too quickly. Ref: Pringle E., Graham E.M. (2011). Chapter 15. Ocular Disorders Associated with Systemic Diseases. In P. Riordan-Eva, E.T. Cunningham, Jr. (Eds), Vaughan & Asbury's General Ophthalmology, 18e.